Inhalational agent with lowest blood gas coefficient is:
1. Isoflurane
2. NO
3. Xenon
4. Enflurane

Correct answer: 3. Xenon

Explanation: Ans: (c) XenonRef. Stoelting's Pharmacology and Physiology in Anesthetic Practice, 4th edition 4.Blood gas partition coefficient (BG coefficient): It is ratio of solubility of a gas (inhalational agent) in blood and in the air (alveolar air)"Low the BG coefficient = Lesser the solubility of gas in blood = Rapid onset of action"BG coefficient can be affected by:Serum lipid contentSerum protein contentHematocritAgeInhalational agentsBG coeficientVapour pressure (mm Hg)Boiling point (degree Celsius)Xenon0.115--Desflurane0.4267323.5Nitrous oxide0.465200-88Sevoflurane0.6916258.5Isoflurane1.4623848.5Enflurane1.9017456.5Halothane2.5424350Chloroform816060Trilene96087Ether1242536Methoxyflurane1323103